Non neoplastic lesions simulating bone tumor are all except?
1. Fibrous dysplasia
2. Bone island
3. Bone infarct
4. Hurler syndrome

Correct answer: 4. Hurler syndrome

Explanation: Hurler syndrome [Ref: Campbell's Orthopaedics 11/e Chapter 20 - Benign Bone Tumors and Nonneoplastic Conditions Simulating Bone Tumors p885.1 Following lesions have been mentioned to be non-neoplastic lesions resembling bone tumors (in Campbell's Orthopaedics Chapter 20 - Benign Bone Tumors and Nonneoplastic Conditions Simulating Bone Tumors). Nonneoplastic Conditions Simulating Bone Tumors Nonossifying fibromas (aka fibrous cortical defects, and fibroxanthomas) Cortical Desmoid Fibrous dysplasia Osteofibrous dysplasia (ossifying fibroma of long bones, aka Campanacci disease) Bone islands Unicameral bone cysts Aneurysmal bone cysts lntraosseous Ganglion Cyst Epidermoid Cyst Paget Disease "Brown Tumor" of Hyperparathyroidism Bone Infarct Osteornyelitis Stress Fracture Posttraumatic Osteolysis